All the following are contents of sub-occipital triangle, except -
1. Vertebral artery
2. Dorsal ramus of C1 nerve
3. Suboccipital plexus of vein
4. Occipital artery

Correct answer: 4. Occipital artery

Explanation: Contents of suboccipital triangle are vertebral artery (3rd part), suboccipital nerve (dorsal ramus of C1) and suboccipital venous plexus. Occipital artery lies in occipital triangle.